Most common field defect in papillitis is
1. A relative central or centrocecal scotoma
2. Siedel's scotoma
3. Baring of blind spot
4. Tunnel vision

Correct answer: 1. A relative central or centrocecal scotoma

Explanation: Most common field defect in optic neuritis is a relative central or centrocecal scotoma.